Malonate competetively inhibits-
1. Fumarate dehydrogenase
2. Succinate thiokinase
3. Aconitase
4. Succinate dehydrogenase

Correct answer: 4. Succinate dehydrogenase

Explanation: D i.e. Succinate dehydrogenase